Routine second look endoscopy in the setting of non variceal upper GI bleeding is recommended in patients with:
1. Rockall score 2
2. Treated with epinephrine injection alone
3. Cardiac disease
4. Renal disease

Correct answer: 2. Treated with epinephrine injection alone

Explanation: Routine second look endoscopy in the setting of non variceal upper GI bleeding is recommended in patients with Patients who had an incomplete initial endoscopic examination Patients with clinically significant rebleeding Patients who are treated with epinephrine injection alone Ref: Sleisenger and Fordtran's, E-9, P-297.